Spleen is derived from ?
1. Ventral mesogastrium
2. Dorsal mesogastrium
3. Septum transversorium
4. Allantois

Correct answer: 2. Dorsal mesogastrium

Explanation: Dorsal mesogastrium